Investigation of choice for endometrial svnechea is-
1. Endometrial sampling
2. Hysteroscopy
3. Colposcopy
4. Ultrasound

Correct answer: 2. Hysteroscopy